A middle-aged man presents with congestive heart failure with elevated liver enzymes. His skin has a grayish pigmentation. The levels of liver enzymes are higher than those usually seen in congestive heart failure, suggesting an inflammatory process (hepatitis) with scarring (cirrhosis) of the liver. A liver biopsy discloses a marked increase in iron storage. In humans, molecular iron (Fe) is
1. Stored primarily in the spleen
2. Stored in combination with ferritin
3. Excreted in the urine as Fe2 positive
4. Absorbed in the intestine by albumin

Correct answer: 2. Stored in combination with ferritin

Explanation: Ferrous iron (Fe2+) is the form absorbed in the intestine by ferritin, transported in plasma by transferrin, and stored in the liver in combination with ferritin or as hemosiderin. There is no known excretory pathway for iron, either in the ferric or ferrous form. For this reason, excessive iron uptake over a period of many years may cause hemochromatosis, the likely diagnosis for this man. This is a condition of extensive hemosiderin deposition in the liver, myocardium, pancreas, and adrenals. The resulting symptoms include liver cirrhosis, congestive heart failure, diabetes mellitus, and changes in skin pigmentation.